Which statement is TRUE regarding pneumothoraxa) Decreased breath soundsb) Decreased percussion notec) Always needs chest tube insertiond) Often needs chest tube insertion
1. ad
2. c
3. ac
4. ab

Correct answer: 1. ad